If there is a Gs alpha subunit gain-of-function mutation, this results in
1. Decreased CAMP
2. Decreased 1P3
3. Increased GTPase activity
4. Increased cAMP

Correct answer: 4. Increased cAMP

Explanation: Gs activates Ca++ channel opening